Which is seen in nephrotic syndrome-
1. Low serum calcium
2. Raised AT-III in serum
3. LOw serum lipids
4. Decreased Platelet activation

Correct answer: 1. Low serum calcium

Explanation: Nephrotic syndrome Results in Hyperlipidemia Urine loss of antithrombin III increased platelet aggregation Hypocalcemia is seen in severe NS Ref:Harrison 20 th edition, pg no. 293